Minor duodenal papilla is opening of
1. Hepatic duct
2. Hepatopancreatic duct
3. Accessory pancreatic ampulla
4. Bile duct

Correct answer: 3. Accessory pancreatic ampulla

Explanation: Minor duodenal papilla is the opening of the accessory pancreatic duct into the decending second section of the duodenum.It is situated 2cm proximal to the major duodenal papilla.and thus 5-8cm from the opening of pylorus. ref - BDC 6e vol2 pancreas imageref- netter atlas